Cord compression leads to:
1. Late deceleration
2. Early deceleration
3. Variable deceleration
4. Acceleration

Correct answer: 3. Variable deceleration

Explanation: Ans. (c) Variable decelerationRef. Dutta's Obstetrics, Th ed./612* Deceleration is transient decrease in FHR below the baseline by 15 bpm or more and lasting for more than or equal to 15 secs.* Three basic type of deceleration are observed:# Early Deceleration: due to head compression# Late deceleration: uteroplacental insufficiency and fetal hypoxia# Variable deceleration: cord compression (MC type)